One of the following statement is unique about circumpulpal dentine
1. Collagen fibers are oriented perpendicular to DEJ
2. Vonkorff fibers are present
3. Contain phosphophoryn
4. Requires matrix vesicle for mineralization

Correct answer: 3. Contain phosphophoryn